A female at 37 week of pregnancy comes with grade 3 placenta previa, bleeding per vaginum with uterine contractions. What is the MOST appropriate management in this patient?
1. Dexamethasone and nifedipine
2. Bed rest and sedation
3. Wait and watch
4. Emergency LSCS

Correct answer: 4. Emergency LSCS

Explanation: The best management in this patient presenting with grade 3 placenta previa, bleeding per vagina and uterine contraction is emergency LSCS. Also know: Other indications of LSCS in patients with placenta previa are: Severe degree of placenta previa (type II posterior, type III, type IV) Lesser degree of placenta previa when amniotomy fails to stop bleeding or fetal distress appears. Complicating factors associated with lesser degrees of placenta previa where vaginal delivery is unsafe. Ref: Textbook of Obstetrics By D.C Dutta, 6th edn, page 252